Specific test for ketohexoses:
1. Selivanoff’s test
2. Osazone test
3. Molisch test
4. None of these

Correct answer: 1. Selivanoff’s test

Explanation: Selivanoff’s test: this is a specific test for ketohexoses. Concentrated hydrochloric acid dehydrates ketohexoses to form furfural derivatives which condense with resorcinol to give a cherry red complex.